The biological oxygen demand indicates -
1. Organic matter
2. Bacterial content
3. Anaerobic bacteria
4. Chemicals

Correct answer: 1. Organic matter

Explanation: Ans. is 'a' i.e., Organic matter